Use of Zinc in diarrhoea is because it :
1. Reduces the risk, duration and severity of diarrheal episodes
2. Enhances immune response
3. Regulates intestinal transport & absorption of water and electrolytes
4. All

Correct answer: 4. All

Explanation: Zinc is a vital micronutrient essential for:- Protein synthesis Cell growth and differentiation Enhances immune response Intestinal transport/absorption of water and electrolytes Improves regeneration of the intestinal epithelium Increases the levels of brush border enzymes Critical role in metallo-enzymes Polyribosomes Zinc deficiency:- Increased risk of gastrointestinal infections Adverse effects on the structure and function of the gastrointestinal tract Disease is known as Acrodermatitis enteropathica Impaired immune function Administration of zinc along with new low osmolarity ORS, can reduce the risk, duration and severity of diarrheal episodes for up to three months.